Which of the following steroids possess maximum glucocorticoid activity?
1. Prednisolone
2. Cortisol
3. Aldosterone
4. Dexamethasone

Correct answer: 4. Dexamethasone

Explanation: Maximum glucocorticoid activity: Dexamethasone Maximum mineralocorticoid activity: Aldosterone Glucocorticoid with maximum mineralocorticoid activity: Hydrocortisone Least potent glucocorticoid: Cortisone Most potent glucocorticoid: Betamethasone Selective mineralocorticoid activity(zero glucocorticoid activity):DOCA Selective glucocorticoid activity( no mineralocorticoid activity): Dexamethasone